Predominant constituent of Hyaline membrane is:
1. Albumi
2. Anthracotic pigment
3. Fibrin rich exudates
4. None of the above

Correct answer: 3. Fibrin rich exudates

Explanation: The membranes are largely made up of fibrinogen and fibrin admixed with cell debris derived cheifly from necrotic type-II pnemocytes. There is a remarkable paucity of neutrophils inflammatory reaction associated with these mambranes. The lesions of hyaline membrane disease are never seen in still born infants or in live-born infants who die within a few hours of birth.(ref Robbins 9/e p457)